Which one of the following modalities is maximum dangerous to 10 weeks pregnant lady?
1. CT CHEST
2. SPECT
3. CT Abdomen
4. Bone-scan

Correct answer: 3. CT Abdomen

Explanation: CT scan Typical effective dose (mSv) for various investigations: Chest X-ray: 0.02CT Head: 2.3CT Chest: 8CT Abdomen / Pelvis: 10Bone scan (Tc-99m): 4